Which treatment in the optic neuritis treatment trial (ONTT) had the highest rate of recurrence
1. IV methy prednisolone alone
2. Oral prednisone alone
3. IV methyl prednisolone and oral prednisone
4. Observation

Correct answer: 2. Oral prednisone alone

Explanation: Oral prednisone alone has high recurrence rate.